Good prognosis of ALL
1. Hyperdiploidy
2. Hypodiploidy
3. T cell line
4. Philadelphia chromosome

Correct answer: 1. Hyperdiploidy

Explanation: Favourable prognostic markers for ALL include : 1) age b/w 2-10 yrs 2) a low white cell count. 3) hyperdiploidy. 4) trisomy of chromosomes 4,7,10 5) presence of a t (12;21). Ref :Robbins pathologic basis of disease ; south east asia edition ;pg:592